Tension band wiring is used for?
1. Fracture humerus
2. Olecranon fracture
3. Fracture tibia
4. Fracture spine

Correct answer: 2. Olecranon fracture

Explanation: ANSWER: (B) Olecranon fractureREF: Apley's orthopedics 8th e p. 607Treatment plan for fracture olecranonNon displaced transverse fracture : cast immobilization for 2-3 weeksComminuted fracture with triceps intact: sling for a weekDisplaced oblique fractures : tension band wiringOld non united fracture, non-articular fracture : excision of fragment and triceps repair